A child aged 8 months presented with itchy, exudative lesions on the face, palms and soles. The siblings also have similar complaints. Which among the following represents the Management of Choice?
1. Systemic ampicillin
2. Topical permethrin
3. Systemic prednisolone
4. Topical betamethasone

Correct answer: 2. Topical permethrin

Explanation: Ans. B. Topical permethrinThe child in this question indicates features of scabies caused because of Sarcoptes scabei. Treatment of choice in scabies is 5% permethrin cream.In adults, its application is usually from the neck down and after 8 to 14 hours of application it is washed off.In children less than 5 years of age and even the elderly, this cream should be applied on the entire skin surface except the eyes.Some other treatment options are also there, such as:* 10% Topical crotamiton* 1% gamma benzene hexachloride* 25% Benzyl benzoate* Ivermectin